Which of the following is not a front line antihypertensive agent
1. Enalapril
2. Hydrochlorothiazide
3. Amilodipine
4. Atenolol

Correct answer: 4. Atenolol

Explanation: Refer CMDT 2014/429 Beta blockers are no longer considered to be as first line antihypertensive agents. According to JCB-8, ACE inhibitors Calcium channel blockers and diuretics are considered as a first line antihypertensive agents